Dimorphic fungi are all except
1. Coccidioidomycosis
2. Blastomycosis
3. Candida
4. Histoplasma

Correct answer: 3. Candida

Explanation: Candida is a yeast-like fungus and is not having a mycelial phase Reference: Textbook of Microbiology; Baveja; 4th edition